Egg shell pattern on X-ray abdomen may be seen in:
1. Testicular torsion
2. Hydrocele
3. Meconium ileus
4. All of the above

Correct answer: 3. Meconium ileus

Explanation: In patients with complicated meconium ileus, intraperitoneal calcifications form, producing an eggshell pattern on plain abdominal radiograph. Ref: Schwartz's principle of surgery 9th edition, chapter 39.